All are bacterial infections except
1. Ecthyma pyogenicum
2. Ecthyma gangrenosum
3. Ecthyma contagiosum
4. Bullous Impetigo

Correct answer: 3. Ecthyma contagiosum

Explanation: Poxviruses Orf (ecthyma contagiosum; Orf virus; genus = Parapox): - It is a result of contact with infected animals (sheep, goats, or reindeer; usually on udders/perioral areas of ewes). # Develop one to few lesions at contact site (usually hands). # RFs: certain jobs (shepherds, butchers, and veterinarians) . # Six lesion stages: maculopapular (umbilicated) - targetoid - acute (weeping nodule) - regenerative (nodule w/ thin crust and black dots) - papillomatous - regressive (crust overlying resolving lesion). # Self-resolves . # Diagnosis histology (depends on stage) or PCR. Ref:- Review of Dermatology by Alikhan; pg num:-285